Botulinum affects all of the following, EXCEPT:
1. Neuromuscular junction
2. Preganglionic junction
3. Post ganglionic nerves
4. CNS

Correct answer: 4. CNS

Explanation: Diplopia, dysphagia, dysarthria, dry mouth, vomiting, thirst, constipation are the clinical features associated with botulinum toxin. Patients experience minimal or no CNS effects and usually there's no significant alteration in their mental status. Ingested, inhaled or formed botulinum toxin travels through the vascular system and affects neuromuscular junction, pre ganglionic junction and post ganglionic nerves. Ref: Textbook of Microbiology, Ananthanarayan and Paniker, 7th Edition, Chapter 28, Page 263 & 264 ; Harrisons Principles of Internal Medicine, 16th Edition, Page 843.